All are seen in Behchets syndrome except ?
1. Genital ulcers
2. Uveitis
3. Oral ulcers
4. Pyoderma gangrenosum

Correct answer: 4. Pyoderma gangrenosum

Explanation: Ans. is 'd' i.e., Pyoderma gangrenosum Behcet's disease Behcet's disease is a multisystem disease that is defined by the presence of oral aphthosis with at least two of the following: genital aphthae, synovitis, posterior uveitis, cutaneous pustular vasculitis or meningoencephalitis, in the absence of IBD or autoimmune Diseases . Children sometimes develop Behcet's disease, but it typically affects young adults. Its association with HLA-B51 Diagnostic criteria : Recurrent oral ulceration - Minor aphthous, major aphthous, or herpetiform ulceration observed by physician or patient that recurred at least 3 times in one 12-month period Plus two of the following criteria : Recurrent genital ulceration :- Aphthous ulceration or scarring observed by physician or patient Eye lesions : Anterior uveitis, posterior uveitis, or cells in vitreous on slit-lamp examination; or retinal vasculitis observed by ophthalmologist Skin lesions : Erythema nodosum observed by physician or patient, pseudofolliculitis or papulopustular lesions; or acneiform nodules observed by physician in post-adolescent patients not receiving corticosteroid treatment Positive pathergy test : Read by physician at 24-48 h.